Role of Malachite green in LJ medium ?
1. Increase growth of M. tuberculosis
2. Inhibits growth of other bacteria
3. Nutritive value
4. As an indicator

Correct answer: 2. Inhibits growth of other bacteria

Explanation: Ans. is 'b' i.e., Inhibits growth of other bacteria Lowenstein-Jensen Medium (LJ medium) LJ medium consists of mineral salts, asparagine, glycerol, malachite green and hen's egg. The malachite green prevents the growth of other microorganism on medium. It is used as a primary isolation medium for mycobacteria.